CSF Rhinorrhea is usually due to fracture of cribriform plate. Cribriform plate is a part of:
1. Vomer
2. Ethmoid
3. Maxilla
4. Zygomatic bone

Correct answer: 2. Ethmoid

Explanation: Ethmoid